A 19 yrs old male has a small circumscribed sclerotic swelling over diaphysis of femur, likely diagnosis is:
1. Osteoclastoma
2. Osteosarcoma
3. Ewing's sarcoma
4. Osteoid osteoma

Correct answer: 4. Osteoid osteoma

Explanation: Sclerotic lesion over diaphysis of a long bone in a young patient indicative of osteoid osteoma. Ref: Essential Orthopedics By Maheshwari 2nd Edition, Page 213